Length of alimentary canal from oral cavity to gastro esophageal junction is-
1. l5cm
2. 25 cm
3. 30 cm
4. 40 cm

Correct answer: 4. 40 cm